Which of the following amoebae does not have neuropathogenic effect ?
1. Naegleria
2. Acanthamoeba
3. Dientamoeba
4. Bala muthia

Correct answer: 3. Dientamoeba

Explanation: Ans. is 'c' i.e., Dientamoeba